Which of the following drugs can cause torsedes points
1. Quinidine
2. Lignocaine
3. Esmolol
4. Flecainide

Correct answer: 1. Quinidine

Explanation: Torsedes'de point is a polymorphic ventricular tachycardia that is usually caused due to blockade of delayed rectifier potassium channels in the heart It manifest in ECG as QTc prolongation Drugs having cardiac potassium channel blocking activity can cause this Arrythymia. These include : Class 1a anti Arrythymics:quinidine,procainamide( Sodium and potassium channel blocker) Class 3 anti arrhythmia:bretylium,sotalol. Other drugs like terfenadine ,cisapride Refer katzung 10e 224, KDT 6/e 510